A person knows the truth & wilfully concealed the truth &gives false evidence in the court of law. He will be punished under which I PC -
1. 190
2. 192
3. 191
4. 193

Correct answer: 4. 193

Explanation: Ans. is 'd' i.e., 193 o Perjury means giving wilful false or fabricated evidence. Whoever, being legally bound by an oath or by an express provision of law to make a declaration upon any subject, makes any statement which is false or does not believe to be true (S. I.P.C. 191 & 192).o The witness is liable to be prosecuted for perjury and the imprisonment may extend upto 7 years. (S. I.P.C. 193).SectionDeals with193IPCPunishmentfor perjuryQ191IPCDefines perjury307 IPCAttempt to murder320 IPCGrevious hurtfQ definition325 IPCPunishment for voluntarily causing grevious hurt375 IPCDefines rapeQ376 IPCPunish men t of rapeQ